Which of the following is a periodontal pathogen
1. S. sanguis
2. S. mutans
3. A. viscosus
4. P. gingivalis

Correct answer: 4. P. gingivalis